All are substrates for gluconeogenesis except -
1. Lactate
2. Propionate
3. Alanine
4. Acetyl-CoA

Correct answer: 4. Acetyl-CoA

Explanation: Ans. is 'd' i.e., Acetyl-CoA o Synthesis of glucose from noncarbohydrate precursors is called gluconeogenesis i.e., synthesis of new glucose,o The major noncarbohydrate precursors (substrate) for gluconeogenesis are lactateQ, pyruvateQ, glycerolQ, glucogenic amino acidsQ, propionate and intermediates of the citric acid cycle,o All aminoacids, except for leucine and lysine, are substrate for gluconeogenesis.o Alanine is the most important gluconeogenic amino acidQ.o Gluconeogenesis occurs mainly in the liverQ and to a lesser extent in renal cortex. Some gluconeogenesis can also occur in small intestine, but it is not significant. Some of the reactions of gluconeogenesis occurs in the mitochondria but most occur in cytosol.o Fatty acids (and also ketone bodies) are oxidized to acety!-CoA. Acetyl-CoA cannot be used to synthesize glucose (in gluconeogenesis). This is because acetyl-CoA cannot be converted to oxaloacetate, the starting substrate ofoxaloacetate).